Animal reservoir for swine influenza virus is?
1. Field mice
2. Urban rats
3. Pigs
4. Calomys callosus

Correct answer: 3. Pigs

Explanation: The swine flu virus H1N1 caused a localized outbreak in a military camp in the USA. REF:ANANTHANARAYAN AND PANIKER'S TEXTBOOK OF MICROBIOLOGY 9TH EDITION PAGE NO:502